Goodpasture syndrome has antibodies against -
1. Collagen 1
2. G-y or x-y of Collagen
3. Collagen 4
4. Collagen 2

Correct answer: 3. Collagen 4

Explanation: . Collagen 4